What are the symptoms of diabetes mellitus?
1. Polydipsia
2. Polyuria
3. Polyphagia
4. All of the above

Correct answer: 4. All of the above